Tacrolimus acts by inhibiting :
1. DNA and RNA synthesis
2. Anti–lymphocyte antibody formation
3. T–Cell proliferation
4. All of the above

Correct answer: 3. T–Cell proliferation